Mean transformation time for HIV and AIDS is:
1. 7.5 years
2. 10 years
3. 15 years
4. 12 years

Correct answer: 2. 10 years

Explanation: Mean transformation time for HIV to AIDS is 10 years. The duration between primary infection and progression to clinical disease averages about 10 years. Facts about HIV infection (Jawetz): The typical course of "untreated HIV" infection spans around a decade (10 years) Following infection the period of clinical latency may last long as 10 years. The duration between primary infection infection and progression to clinical disease averages about 10 years. In untreated cases, death usually occurs within 2 years after the onset of clinical symptoms. Following primary infection, there is a 4- to 11- day period between mucosal infection and initial viremia. (The viremia is detectable for about 8-12 weeks) An acute mononucleosis-like sydrome develops in many patients (50-75%) 3-6 weeks after primary infection (There is significant drop in numbers of circulating CD4 T cells at this early time) An immune response to HIV occurs 1 week to 3 months after infection, plasma viremia drops, and levels of CD4 cells rebound. The t 1/2 (half-life) of virus in plasma is about 6 hours. The virus Life-cycle from the time of infectionn of a cell to the production of new progeny that infect the next cell averages 2.6 days. CD4 lymphocytes are the major target responsible for virus production and once productively infected the half-life of a CD4 cell is about 1.6 days. Ref: Jawetz textbook of Medical Microbiology 26th edition pgno: 657